Catalase positive, beta-hemolytic staphylococcus -
1. S. aureus
2. S. epidermidis
3. S. saprophyticus
4. None

Correct answer: 1. S. aureus

Explanation: All staphylococci are catalase positive.
Amongst staphylococci, staph. aureus is beta-hemolytic.
Most species of coagulase-negative staphylococcus species are non-hemolytic.